True regarding pertusis is all, except -
1. Infectivity is highest in paroxysmal state
2. Cross immunity is not seen with B. parapertusis
3. Chronic carrier state is not seen
4. Secondary attack rate is 90%

Correct answer: 1. Infectivity is highest in paroxysmal state